The secretomotor fibres supplying lacrimal gland relay in:
1. Otic ganglion
2. Pterygopalatine ganglion
3. Submaxillary ganglion
4. None of the above

Correct answer: 2. Pterygopalatine ganglion